The following drug is a somatostatin analog?(REPEAT)
1. Octreotide
2. Abarelix
3. Goserelin
4. Nafarelin

Correct answer: 1. Octreotide

Explanation: Octreotide Octreotide is a synthetic octapeptide with actions similar to somatostatin. Uses: Used in patients with advanced symptomatic tumors that cannot be completely removed by surgery, octreotide decreases secretory diarrhea and systemic symptoms through inhibition of hormonal secretion and may slow tumor progression. Octreotide is effective in higher doses for the treatment of diarrhea due to vagotomy or dumping syndrome as well as for diarrhea caused by short bowel syndrome or AIDS. Octreotide has been used in low doses (50 mcg subcutaneously) to stimulate small bowel motility in patients with small bowel bacterial overgrowth or intestinal pseudo-obstruction secondary to scleroderma. Because it inhibits pancreatic secretion, octreotide may be of value in patients with pancreatic fistula. Treatment of pituitary tumors (eg, acromegaly) Used in controlling gastrointestinal bleeding. Ref: Katzung; 13th edition; Page no: 1095